Hara-kiri is death by
1. Stab in the neck
2. Stab in the thorax
3. Stab in the abdomen
4. Stab in wrist

Correct answer: 3. Stab in the abdomen

Explanation: Hara- kiri(seppuku) means cutting the belly. This is a ritual suicide formerly practiced in Japan and nearby counties by samurais(warrior class) when disgraced. Stabbing is done as a ceremony. In this type of suicide, in front of an audience, the person stabs himself on the abdomen and produces a large wound to make the intestines come out. Ref: FORENSIC MEDICINE AND TOXICOLOGY DR PC IGNATIUS THIRD EDITION PAGE 132